Talocalcaneonavicular joint is a type of:
1. Saddle
2. Ball and socket
3. Hinge
4. Plane

Correct answer: 2. Ball and socket

Explanation: * Ball and socket joint type 1. Hip 2. Talocalcaneonavicular3. Shoulder * Saddle type joint - 1st metacarpal joint* Hinge type joint - Elbow joint, knee joint* Plane type joint - intercarpal and intertarsal joint